Plasmodium falciparum in fection of man is characterized by -
1. The erythrocytes are increased in sized
2. All stages of erythrocytic schizogony are seen in peripheral blood
3. Multiple infection of erythrocytes are seen
4. Each erythrocytic cycle lasts 72 hours

Correct answer: 3. Multiple infection of erythrocytes are seen

Explanation: P.falciparum Forms in peripheral blood-ring forms and gametocytes (crescent shaped) A) Most pathogenic B). No relapses in P.falciparum-exo-erythrocytic schizogony is absent C). Complications-pernicious malaria,black water fever D)pernicious malaria-1). Cerebral malaria-hyperpyrexia, coma,paralysis.Brain is congested.Capillaries of the brain are plugged with parasitised erythrocytes 2). Algid malaria-cold clammy skin leading to circulatory failure 3). Septicaemic malaria- high continuous fever with involvement of various organs Black water fever * Previously infected * Intravascular haemolysis fever and haemoglobinuria * Autoimmune mechanism * Bilious vomiting+prostration+black urine(refer pgno:60 baveja 3 rd edition)